CO is released in reaction catalyzed by-
1. Decarboxylases
2. Carboxylases
3. Heme oxygenase
4. Pyruvate dehydrogenase

Correct answer: 3. Heme oxygenase

Explanation: Ans. is 'c' i.e., Heme oxygenase o The oxidation of heme, catalyzed by heme oxygenase, releases carbon monoxide, iron and biliverdin IX a.o Low levels of CO derived from heme oxygenase reaction in certain tissues play an important role in physiological response to stress.o CO participates in several signalling pathways in which CO exerts vasoregulatory, anti-inflammatory, antiapoptotic and antiproliferative effects.o Evidence is accumulating that CO plays an especially important role in neural signaling.